Closure of the foramen primum results from fusion of which of the following structures?
1. Septum secundum and the fused atrioventricular cushions
2. Septum secundum and the septum primum
3. Septum primum and the fused atrioventricular cushions
4. Septum primum and the septum spurium

Correct answer: 3. Septum primum and the fused atrioventricular cushions

Explanation: C. The foramen primum forms between the free edge of the septum primum and the atrioventricular (AV) cushions. It is closed when the septum primum fuses with the AV cushions.